Leiden mutation involves:
1. Factor V
2. Factor VI
3. Protein C
4. Protein S

Correct answer: 1. Factor V

Explanation: a. Factor V(Ref: Nelson's 20/e p 2384-2389, Ghai 8/e p 350-352)Factor V Leiden: glutamine arginine substitution at amino acid residue 506 that renders factor V resistant to cleavage and inactivation by protein C (also called Activated Protein C resistance)